The incidence of carcinoma cervix in women with multiple sexual partners is 5 times the incidence seen in those with a single partner. Based on this, what is the attributable risk?
1. 20%
2. 40%
3. 50%
4. 80%

Correct answer: 4. 80%

Explanation: - If the incidence of carcinoma cervix in those with single partner is 'I' , then the incidence in those with multiple sexual partners will be 5 'I'. - Now attributable risk = (Incidence in exposed-Incidence in non-exposed/Incidence in exposed ) X 100 = (5I-I / 5I) X 100 = (4/5) X 100 = 80%.